Lateral sinus thrombosis is associated with all except
1. Greisinger sign
2. Gradenigo sign
3. Crowe-Beck test
4. Tobey Ayer test

Correct answer: 2. Gradenigo sign

Explanation: Griesinger's sign: This is due to thrombosis of the mastoid emissary vein. Oedema appears over the posterior part of the mastoid. Crowe-Beck test: Pressure on the jugular vein of healthy side produces engorgement of retinal veins (seen by ophthalmoscopy) and supraorbital veins. Engorgement of veins subsides on the release of pressure. Tobey-Ayer test: This is to record CSF pressure by the manometer and to see the effect of manual compression of one or both jugular veins. Compression of the vein on the thrombosed side produces no effect while compression of the vein on the healthy side produces a rapid rise in CSF pressure which will be equal to bilateral compression of jugular veins. Gradenigo's syndrome consists of (i) ear discharge (suppurative otitis media), (it) diplopia (CN VI paralysis), and (iii ) retro-orbital pain (CN V ) involvement. It is due to a petrositis-a complication of otitis media. (Ref: Textbook of diseases of ENT, PL Dhingra, 7th edition, pg no. 92,93)